Which of the following will spread from one patient to another by touch is?
1. Herpes labialis
2. HBV
3. HIV
4. Malaria

Correct answer: 1. Herpes labialis